Joint b/w mandibular major and minor connector is?
1. Butt joint
2. Ball and socket joint
3. Obtuse angle joint
4. Acute angle joint

Correct answer: 1. Butt joint

Explanation: Junctions of mandibular major and minor connector should be strong butt-type joints but without appreciable bulk.